Most emetogenic drug is:
1. Cisplatin
2. Carboplatin
3. High dose cydophosphamide
4. High dose methotrexate

Correct answer: 1. Cisplatin

Explanation: Cisplatin